Antimycin A inhibits which comples of Electron Transport chain?
1. Complex-I
2. Complex-II
3. Complex-III
4. Complex-IV

Correct answer: 3. Complex-III

Explanation: Antimycin A and BAL inhibit complex III of ETC.